All of the following may lead to pigment gall stones except -
1. Chronic Hemolysis
2. Hepatocellular Carcinoma
3. Alcoholic Cirrhosis
4. Biliary tract infection

Correct answer: 2. Hepatocellular Carcinoma

Explanation: Answer- B. Hepatocellular CarcinomaDemographic/genetic factors: Asia, rural settingChronic hemolysisAlcoholic cirrhosisPernicious anemiaChronic biliary tract infection, parasite infections (Escherichia coli, Ascaris lumbricoides, Clonorchis sinensis)Increasing ageIleal disease, ileal resection orblpassCystic fibrosis